Which type of thyroid carcinoma has the best prognosis -
1. Papillary Ca
2. Anaplastic Ca
3. Follicular Ca
4. All

Correct answer: 1. Papillary Ca

Explanation: Ans is 'a' i.e., Papillary Carcinoma "In general pts. with PTC have an excellent prognosis with a greater than 95% 10-year survival rate." - Schwartz Papillary carcinoma of thyroid is a slow growing tumor, usually not associated with blood borne metastasis, and hence has a better prognosis than the other varieties. Follicular, Medullary and Anaplastic carcinomas are all associated with a greater incidence of blood borne metastasis and a poorer prognosis.